Bacterial countindoudenum-
1. 105 per gram
2. 108 per gram
3. 1010 per gram
4. 1012 per gram

Correct answer: 1. 105 per gram

Explanation: Ans. is 'a' i.e., 105 per gram It is 103-106 bacteria per gram.